All of the following are stress responses except
1. Increased ANS activity
2. Increased peripheral insulin resistance
3. Decrease in blood glucose
4. Loss of muscle protein

Correct answer: 3. Decrease in blood glucose

Explanation: Ans: C. Decrease in blood glucose[Ref: Understanding of medical physiology p. 470, 471).Neuroendocrine secretions cause following metabolic disturbances during stress: -Protein catabolism:Most important metabolic change in the stress.Results in anemia, hypoproteinemia & loss of lean body mass (mainly muscle proteins).Most important hormone - Cortisol.Hyperglycemia:Suppression of insulin secretion coupled with increased secretion of glucagon, growth hormone, glucocorticoids (cortisol), and catecholamines (epinephrine, norepinephrine) leads to hyperglycemia.Increased Plasma FFA level:Increased lipolysis leading to elevated plasma FFA level is the result of suppression of insulin secretion as well as increased secretion of cortisol, GH and catecholamines.Salt and water retention:Due to elevated secretion of ADH and aldosterone (Renin-angiotensin-aldosterone system).